All are true regarding rectal carcinoma EXCEPT:
1. Early morning spurious diarrhea and tenesmus can occur
2. Adenocarcinoma is a rare variant of rectal carcinoma.
3. Growth confined to the rectal mucosa is stage A of modified Duke's staging.
4. Hartmann's operation is done in old debilitated patients.

Correct answer: 2. Adenocarcinoma is a rare variant of rectal carcinoma.

Explanation: Rectal carcinoma: MC site of large bowel malignancy Adenocarcinoma is the most common variant of rectal carcinoma. C/F- MC symptom- bleeding PR Early morning spurious diarrhea Tenesmus Weight loss IOC- rigid sigmoidoscopy+ biopsy Hartmann's operation is done in old debilitated patients.